Combination of ampicillin and gentamicin is an example of
1. Indifference
2. Synergy
3. Antagonism
4. Bacterial symbiosis

Correct answer: 2. Synergy